Which of the following is beta-blocker antagonist
1. Glucagon
2. Neostigmine
3. Ambenonium
4. All of the above

Correct answer: 1. Glucagon

Explanation: Ans. is 'a' i.e., GlucagonGlucagon is used in beta-blocker poisoning to combat bradycardia produced by b-blockers. Glucagon acts by increasing C-GMP in myocardium, in effect bypassing p-receptors )Action is independent of beta receptors.